The commonest pre-malignant condition of oral cancer is -
1. Leukoplakia
2. Aphthous ulcer
3. Lichen planus
4. Erythro-leukoplakia

Correct answer: 1. Leukoplakia

Explanation: Ans. is 'a' i.e., Leukoplakia Leukoplakia is the most common (-85%) of the premalignant lesions of the oral cavity.